Steroids cause:
1. Increased TSH
2. Increased FSH
3. Prevent de-iodination
4. All of the above

Correct answer: 3. Prevent de-iodination

Explanation: Ans. (C) Prevent de-iodination(Ref: Katzung 11/e p670, 686)Glucocorticoids on long term use suppress the release of ACTH, GH, TSH and LH. These also inhibit the activity of 5'- deiodinase and thus inhibit the peripheral conversion of T4 to T3. These also decrease thyroid binding globulin.